Which of the following is not seen in parkinsonism-
1. Preserved postural reflexes
2. Hypokinesia
3. Rigidity
4. Static tremors

Correct answer: 1. Preserved postural reflexes